Hazard of chorionic villous biopsy is:
1. congenital heart disease
2. Spina bifida
3. Down's syndrome
4. miscarriage

Correct answer: 4. miscarriage

Explanation: COMPLICATIONS Fetal loss oromandibular limb deformities vaginal bleeding D.C.DUTTA'S TEXTBOOK OF GYNECOLOGY,Pg no:107,7th edition